The commonest gastric polyp is ?
1. Hyperplastic polyp
2. Inflammatory polyp
3. Adenomatous polyp
4. Part of familial polyposis

Correct answer: 1. Hyperplastic polyp

Explanation: Ans. is 'a' i.e., Hyperplastic polyp